Dapsone is used in all except :
1. Dermatitis herpetiformis
2. Leprosy
3. Pneumocystis jiroveci pneumonia
4. Tuberculosis

Correct answer: 4. Tuberculosis